All of the following are functions of estrogen, EXCEPT:
1. Secretory function on endometrium
2. Synthetic function on endometrium
3. Causes secondary sexual characters in female
4. Breast enlargement during puberty

Correct answer: 1. Secretory function on endometrium

Explanation: Estrogen is found to induce proliferation of endometrial glands and stroma including vascular endothelium. Progestin is responsible for the secretory differentiation in endometrial glands and decidual type changes in the stroma. Other effects of estrogen are: Estrogen facilitate the growth of ovarian follicles and increase the motility of uterine tubes. Estrogen increases the growth of ducts in breasts and is responsible for breast enlargement at puberty in girls. It is also associated with the development of secondary sexual characters in females. It increases libido in humans, by exerting a direct effect on certain neurons in hypothalamus.